Florid duct lesions are diagnostic of
1. Klatskin tumor
2. Primary sclerosing cholangitis
3. Primary biliary cirrhosis
4. Secondary biliary cirrhosis

Correct answer: 3. Primary biliary cirrhosis

Explanation: Ans. (c) Primary biliary cirrhosis(Ref: Robbins 9th/pg 858; 8th/pg 867)In Primary biliary cirrhosis: Interlobular bile ducts are actively destroyed by lymphoplasmacytic inflammation with or without granulomas (the florid duct lesion)